Familial polysosis coli is associated with
1. Intussusception
2. Toxic magacolon
3. Cancer
4. Ulcerative colitis

Correct answer: 3. Cancer

Explanation: .HNCC (hereditary nonpolyposis colonic cancer) * No polyps. Autosomal dominant* Three members of the family have colonic cancers * Lynch syndrome I is site specific - commonly right sided, occurs in early age group, 40% are metachronous * Lynch syndrome II has other malignancy in, stomach, breast, ovary, endometrium and urinary bladder. It is cancer family syndrome * Microsatellite instability (MSI) at DNA level occurs in HNCC * Accounts for 3-5% of colonic cancers * Amsterdam criteria I (1990); Amsterdam criteria II (1999) and revised Bethesda guidelines (2002) are used to diagnose HNCC ref:SRB'S manual of surgery,ed 3,pg no 835